In a suspected case of death due to poisoning where cadaveric rigidity is lasting longer than usual, it may be a case of poisoning due to
1. Lead
2. Arsenic
3. Mercury
4. Copper

Correct answer: 2. Arsenic

Explanation: B i.e. Arsenic In Arsenic poisoning, rigor mortis lasts longer than usual because it retards putrificationQ; and in Strychine poisoning it sets immediatelyQ Rigor mortis or Cadavericrigidity Not seen seen in Appears early & passes off quickly Early onset Delayed onset Fetus < 7 In condition where muscle is exhausted & Organopho-sphate poisoning 1. Asphyxia monthsQ glycogen stores are depleted as 2. Apoplexy - Septicaemia conditionsQ I. Chronic diseases ex. TB, cancer, typhoid, cholera Lasts longer or delayed disappearance 3. 4. Severe haemorrhage Pneumonia 2. Convulsive disorders as strychine - CO 5. Perfusion with normal poisoning'- - Arsenic'- (As, as it delays saline 3. Violent deaths as cut throat, fire arms & electrocution, lightening putrefaction) 6. Paralysis of muscle due to nervous disease Early onset & lasts longer Early disappearance - Drowning Wide spread bacterial infection as gas gangrene (due to early putrefaction)